A 78 years old male presents with headache visual disturbance and tenderness over his right temporal region. Abiopsy taken from his right temporal artery is most likely to show -
1. Acute organizing thrombus formation
2. Granulomatous inflammation with giant cells
3. Luminal thrombosis
4. Aneurysmal dilatation with subintimal inflammation

Correct answer: 2. Granulomatous inflammation with giant cells